Kiesselbach's plexus is formed by -a) Greater palatine arteryb) Septal branch of sphenopalatine arteryc) Posterior ethmoidal arteryd) Septal branch of superior labial arterye) Anterior ethmoidal artery
1. abcd
2. bcde
3. abde
4. ade

Correct answer: 3. abde